Ottawa charter of health promotion incorporates all of the following key action areas except?
1. Build healthy public policy
2. Strengthen community action for health
3. Build social security system
4. Reorient health services

Correct answer: 3. Build social security system

Explanation: Ottawa Charter for Health Promotion Five Key action areas Basic strategies Public Health policy Strengthen Community action for health Reorientation of health services personal skills development Supportive Environment for health Advocate Enable Mediate Circle within 3 wings Incorpororates 5 key action areas Incorporates 3 basic strategies Ref: Park 25th edition Pgno: 37